Provision of services at Suraksha Clinic include
1. Immunization services
2. Blood transfusion safety services
3. I/STI services
4. Diarrhea control services

Correct answer: 3. I/STI services

Explanation: Services expected at suraksha clinic (STD clinic) are related to I/STI. It includes - Diagnostic services - Treatment care - Preventive services